After bilateral adrenalectomy, patient developed gradual loss of vision, with hyperpigmentation of skin, and headache. Likely cause is:
1. Addison's disease
2. Nelson's syndrome
3. Cushing's disease
4. Hypopituitarism

Correct answer: 2. Nelson's syndrome

Explanation: NELSON'S SYNDROME Adrenalectomy in the setting of residual corticotroph adenoma tissue predisposes to the development of Nelson's syndrome. Characterized by rapid pituitary tumor enlargement and increased pigmentation secondary to high ACTH levels. Radiation therapy may be indicated to prevent the development of Nelson's syndrome after adrenalectomy. Primary adrenal Cushing's syndrome - Adrenalectomy - Loss of negative feedback to pituitary - Development of pituitary adenoma - Nelson's syndrome.